Drug of choice in a patient with severe complicated falciparum malaria is:
1. Chloroquine
2. Quinine
3. Artesunate
4. Artemether

Correct answer: 3. Artesunate

Explanation: Drugs for falciparum malaria: Artesunate: 2.4 mg/kg i.v. or i.m., followed by 2.4 mg/kg after 12 and 24 hours, and then once daily for 7 days. Switchover to 3 day oral ACT inbetween whenever the patient can take and tolerate oral medication. pr 2. Artemether: 3.2 mg/kg i.m. on the 1st day, followed by 1.6 mg/kg daily for 7 days. Switchover to 3 day oral ACT inbetween whenever the patient is able to take oral medication. or 3. Aeether: 3.2 mg/kg i.m. on the 1st day, followed by 1.6 mg/kg daily for the next 4 days. Switchover to 3 day oral ACT inbetween whenever the patient is able to take oral medication. or 4. Quinine diHCI: 20 mg/kg (loading dose) diluted in 10 ml/kg 5% dextrose/dexe and infused i.v. over 4 hours, followed by 10 mg/kg (maintenance dose) i.v. infusion over 4 hours (in adults) or 2 hours (in children) every 8 hours, untill patient can swallow. Switchover to oral quinine 10 mg/kg 8 hourly to complete the 7 day course. ESSENTIALS OF MEDICAL PHARMACOLOGY page no.821